Compared to the other antidepressant drugs mirtazapine has the distinct ability to act as an antagonist of :
1. Beta receptors
2. D2 receptors
3. Alpha 2 receptors
4. 5-HT receptors

Correct answer: 3. Alpha 2 receptors